Strength of gypsum can be measured with:
1. Vicat needle
2. Gillmore needle
3. Kreb's penetrometer
4. Universal testing machine

Correct answer: 4. Universal testing machine

Explanation: A typical universal testing machine can analyze materials in tension, compression, or shear.